Bitter almond odour is percieved in poisoning with?
1. Cobalt
2. Arsenic
3. Cyanide
4. Lead

Correct answer: 3. Cyanide

Explanation: Ans. is 'c' i.e., Cyanide